The common organism isolated in Emphysematous pyelonephritis is -
1. E.Coli
2. Proteus
3. Pseudomonas
4. Klebsiella

Correct answer: 1. E.Coli